All of the following are considered to be rotator cuff muscles except
1. Supraspinatus
2. Infraspinatus
3. Teres minor
4. Teres major

Correct answer: 4. Teres major

Explanation: ROTATOR CUFF:- Musculotendinous cuff Tendons of : 1. Supraspinatus 2. Infraspinatus 3. Teres minor 4. Subscapularis They fuse with the underlying capsule of shoulder joint. Tendons of supraspinatus fuse superiorly. Infraspinatus& teres minor posteriorly Subscapularis anteriorly Functions:- 1. Stabilise shoulder joint. 2. Grasp relatively large head of humerus and holds it against the smaller shallow glenoid cavity. {Reference:vishram singh, pg no. 74}